A male patient with blunt trauma of abdomen is hemodynamically stable. What is the next line of management
1. A.Observation
2. B.Further imaging of abdomen
3. C.Exploratory laparotomy
4. D.Laproscopy

Correct answer: 2. B.Further imaging of abdomen

Explanation: Blunt trauma of abdomen is common in accident. Ultrasound or CT Scan of abdomen or diagnostic peritoneal lavage is useful. Others:- Abdominal diagnostic paracentesis,Diagnostic laparoscopy, Arteriography, Doppler assessment of major vessels. X Ray :- Gas under diaphragm. features-features of profound shock,progressive distension of abdomen, pain tenderness,guarding,rigidity, rebound tenderness Bruising of skin over the abdomen, (LONDON SIGNS) Respiratory distress,cyanosis. (Ref: SRB's Manual of Surgery, 5th edition, pg no.146)